According to the location, a pulp stone partly surrounding by pulp and fused to dentine is called as:
1. Attached pulp stone.
2. Embedded pulp stone.
3. Free pulp stone.
4. None.

Correct answer: 1. Attached pulp stone.